Primordial prevention is done in population ?
1. With risk factors
2. Without risk factors
3. Whole population with low prevalence of disease
4. Population with disease

Correct answer: 2. Without risk factors

Explanation: Ans. is 'b' i.e., Without risk factors In primordial prevention, action is taken prior to emergence of risk factor, i.e. action is taken in population which has not developed risk factor.